Spoligotyping is done for -
1. Staphylococcus
2. Salmonella
3. Mycobacterium tuberculosis
4. Brucella abortus

Correct answer: 3. Mycobacterium tuberculosis

Explanation: Ans. is 'c' i.e., Mycobacterium tuberculosis * Spoligotyping (spacer oligotyping) is a type of polymerase chain reaction (PCR).* Compared with other PCR-based methods that combine detection and typing of such DNA, spoligotyping is more sensitive, because it targets the direct repeats (DRs) present in multiple (sometimes up to 60) copies in the genomic DR locus of M. tuberculosis complex bacteria.* The well-conserved 36-bp DRs are interspersed with nonrepetitive spacer sequences of 34 to 41 bp in length (2, 3, 4).* The variation in the presence of these spacer sequences among strains of the M. tuberculosis complex allows for the genotyping of mycobacterial DNA directly isolated from clinical samples without the need to culture these bacteria.